Pre-cancerous lesion of bone?
1. Paget disease
2. Chronic osteomyelitis
3. Benign giant cell tumor
4. All of above

Correct answer: 4. All of above

Explanation: Ans. is 'd' i.e., All of above Pre-cancerous lesion of bone Multiple exostoses Ollier's disease Benign giant cell tumor Osteoblastoma Chondroblastoma Chronic osteomyelitis Paget's disease